Which of the following causes peripheral neuritis ?
1. Methotrexate
2. Vincristine
3. Busulfan
4. Cyclophosphamide

Correct answer: 2. Vincristine